H1 antagonist has all the functins except ?
1. Antipruritic
2. Sedation
3. Decrease gastric acid secretion
4. Antivertigo

Correct answer: 3. Decrease gastric acid secretion

Explanation: Ans. is 'c' i.e., Decrease gastric acid secretion o Gastric acid secretion is H2 receptors, thus H2-antagonists (not H1 antagonists) decrease gastric acid secretion. o H1- antihistaminics are used in idiopathic pruritis (as antipruritic) and vertigo (cinnarizine). o H1-antihistaminics cause sedation.